All are true about "lead time" except
1. Lead time is the period between early detection by Screening and diagnosis by other means later in life
2. Lead time is the advantage gained by screening
3. Detection programs should be restricted to those condition in which there is considerable time lag
4. None of above

Correct answer: 4. None of above

Explanation: Concept of Lead Time Lead time - Lead time is the period between early detection by Screening and diagnosis by other means later in life Lead time is the "Advantage gained by screening" Detection programs should be restricted to those conditions in which there is considerable time lag The benefits of the programme must be seen in term of its outcomes